Most accepted theory of atherosclerosis is -
1. Lipid infiltration of intima
2. Reaction to endothelial injury
3. Due to smoking
4. Hyperlipidemia

Correct answer: 2. Reaction to endothelial injury